Statins act on which enzyme -
1. Acyl CoAsynthetase
2. Acyl Co A reductase
3. HMG CoA Synthetase
4. HMG CoA reductase

Correct answer: 4. HMG CoA reductase

Explanation: Ans. is 'd' i.e., HMG CoA reductase Hypolipidemic drugsHMG-CoA reductase inhibitors (statins) - Lovastatin. Simvastatin, Pravastatin, Atorvastatin, Rosuvastatin.Bile acid sequestrants (Resins) - cholestyramine, colestipol.Activate lipoprotein lipase (fibric acid derivatives) - clofibrate, gemfibrozil, bezafibrate, fenofibrate.4.Inhibit lipoly sis and triglyceride synthesis - Nicotinic acid.5,Other - Probueol, Gugulipid, Ezetimibe, Avasimibe, Torcetrapib.o Ezetimibe inhibits intestinal cholesterole absorption.o Avasimibe inhibits enzyme acyl Coenzyme A ; cholesterol acyl transferase-1 (ACAT-1) which causes esterification of cholesterol.o Torcetrapib inhibits cholesterol ester triglyceride transport protein -| HDL cholesterol.